TNF -alpha inhibitors should not be used in:
1. Rheumatoid arthritis with HIV infection
2. Rheumatoid arthritis with hepatitis B
3. Rheumatoid arthritis with hepatitis C
4. Rheumatoid arthritis with pulmonary fibrosis

Correct answer: 2. Rheumatoid arthritis with hepatitis B

Explanation: Tumor necrosis factor-a (TNF-a) inhibitors are known to increase reactivation of concurrent chronic hepatitis B,Hence not used ESSENTIALS OF MEDICAL PHARMACOLOGY: SEVENTH EDITION K.D TRIPATHI PAGE:804,805,884